The subtype of Hodgkin's disease, which is histogenetically distinct from all the other subtypes, is -
1. Lymphocyte predominant
2. Nodular sclerosis
3. Mixed cellularity
4. Lymphocyte depleted

Correct answer: 1. Lymphocyte predominant

Explanation: Hodgkin's lymphoma can be divided into two groups.

1. Classical Hodgkin lymphoma

This group includes


Nodular sclerosis  (iii) Lymphocyte-rich
Mixed cellularity    (iv) Lymphocyte-depletion


The Reed-Sternberg cells have similar immunophenotype, i.e., express CD 15 and CD 30.

2. Lymphocytic predominance Hodgkin lymphoma

The Reed sternberg cells express CD 20 marker, characteristic B-cell immunotype.